A 38 year old man is posted for extraction of last molar tooth under general anaesthesia as a day care case. He wishes to resume his work after 6 hours. Which one of the following induction agents is preferred:
1. Thiopentone sodium
2. Ketamine
3. Diazepam
4. Propofol

Correct answer: 4. Propofol

Explanation: D i.e. Propofol